Retinal detachment occurs between ?
1. Neuropithelium and pigmented layer
2. Outer nuclear and outer plexiform
3. Inner nuclear and inner plexiform
4. Outer plexiform and inner nuclear

Correct answer: 1. Neuropithelium and pigmented layer

Explanation: Ans. is 'a' i.e., Neuropithelium and pigmented layer Retinal detachment Retinal detachment is a disorder of eye in which retina peels away from its underlying layer of support tissue. Usually there is separation between the neuroepithelium (neurosensory epithelium or sensory epithelium) and the pigmented layer, because there is a potential space between these two layers where fluid can accumulates and can cause separation. The retinal separation is divided into : ? Primary :- Rheugmatogenous retinal detachment. Secondary :- Tractional retinal detachment and exudative retinal detachment. Causes of retinal detachment Rheugmatogenous High myopia, Cataract extraction (Aphakia, pseudophakia), Trauma, Retinal degeneration (Lattice degeneration, snail track degeneration, retinoschisis). Exudative A) Systemic disease - Toxaemia of pregnancy, renal hypertension, blood dyscrasias & polyarteritis nodosa. B) Ocular disease Inflammation : Harada's disease, sympathetic ophthalmitis, posterior scleritis & orbital cellulitis Vascular : Central serous retinopathy, exudative retinopathy of coats Neoplasm : Malignant melanoma of choroid, retinoblastoma (exophytic type) Sudden hypotony : perforation of globe, intraocular operation Other causes : Uveal effusion syndrome, choroidal neovascularisation, haemangioma & metastatic tumour of choroid. Tractional Penetrating injury, Proliferative diabetic retinopathy, sickle cell retinopathy, Retinopathy of prematurity, CRVO, Eale's disease, post- hemorrhagic retinitis proliferans, Toxocariasis, plastic cyclitis.